Amount of water lost in stools
1. 50ml
2. 200ml
3. 300ml
4. 350ml

Correct answer: 2. 200ml

Explanation: Normal" Output: 1400-2300 mL/d Urine: 800-1500 mL Stool: 200 mL-250mL Insensible loss: 600-900 mL (lungs and skin). (With fever, each degree above 98.6degF adds 2.5 mL/kg/d to insensible losses; insensible losses are decreased if a patient is undergoing mechanical ventilation; free water gain can occur from humidified ventilation.)Ref: